Which of the following is not a grass-root level worker:
1. Health assistant
2. Traditional birth assistant
3. Anganwadi worker
4. Village health guide

Correct answer: 1. Health assistant

Explanation: Ans. A: Health assistant Village health guides, Trained birth attendants and Anganwadi worker works at village level Health assistant is at the level of primary health center